Which of the following conditions promotes adipocere formation:
1. Dry and hot
2. Hot and humid
3. Dry and optimum
4. Cold and moist

Correct answer: 2. Hot and humid

Explanation: Ans. b. Hot and humid (Ref: Redcfy 33 fepl71, 29/epl54; Parikh 6/e p3.30)ideal conditions for adipocere formation are hot temperature, humid and diminution of air."Ideal conditions for adipocere formation are warm (hot) temperature, moisture (humid) and diminution of airQ e.g. dead body immersed in water or damp soil."Adipocere (Saponification)* It is due to conversion of unsaturated liquid fats (oieic acid) to saturated solid fats (hydroxystearic and oxostearic acid) under the influence of intrinsic lipase and lecithinase produced by CL perfringens.* It is modification of putrefaction in which there is conversion of unsaturated liquid fats (oleic acid) to saturated solid fats under the influence of intrinsic lipase and lecithinase produced by Clostridium perfringens.* The change is due to gradual hydrolysis and hydrogenation of preexisting fats^ into higher fatty acids which combines with calcium and ammonium ions to form in soluble soaps which being acidic inhibit putrefaction bacteria.* Ultimately palmitic, oieic, stearic and hydroxystearic acid are formed, mixture of these is known as adipocere.* Adipocere has a distinct offensive or sweetish smelt5 but during early stages ammonical odour is noticedIdeal Conditions for Adipocere* Warm temperature* Moisture3* Relative diminution of air* First seen in subcutaneous fatty deposits of cheeks, breast, buttocks and abdomen.* Shortest recorded period (in India) is 3 days 22 hours* Shortest time for adipocere formation in summer is 3 weeks. Time for whole body to be converted into adipocere = 12 months